In pemphigus vulgaris, antibodies are present against:
1. Basement membrane
2. Intercellular substance
3. Cell nucleus
4. Keratin

Correct answer: 2. Intercellular substance

Explanation: In Pemphigus antibodies are directed against desmoglein (a trans membrane desmosomal glycoprotein belonging to cadherin-a calcium dependent adhesion molecule) in intercellular substance causing loss of cohesion between epidermal cells (of st. basale layer) I/t formation of acantholytic cells which can be seen on Tzank smear. .